True about Autoimmune type II Liver disease-a) Antinuclear antibodyb) LKM-1 antibodyc) Antismooth muscle antibodyd) DS DNAe) LC-1, and LC-2
1. be
2. ad
3. bc
4. ce

Correct answer: 1. be